Which of the following concentration of lignocaine is used in epidural anaesthesia?
1. 5%
2. 0.50%
3. 2%
4. 4%

Correct answer: 3. 2%

Explanation: 1-2% lignocaine with or without adrenaline is used in epidural anaesthesia. Lignocaine in the concentration of 0.5 - 1 % is used for local infiltration anaesthesia. For surface application 4% lignocaine is used as a liquid or 5% as a gel. Reference: Textbook of Anaesthesia for Post Graduates By T.K Agasti, page 337